Most common cause of intermittent stridor in a 10 days old child is:
1. Laryngomalacia
2. Foreign body
3. Vocal nodule
4. Hypertrophy of turbinate

Correct answer: 1. Laryngomalacia

Explanation: (a) Laryngomalacia(Ref. Current Diagnosis & Treatment Otolaryngology, Lalwani, 3rd ed., 481; Scott Brown, 8th ed., Vol 2; 333)Rest of the options are not valid in a 10 days old neonate.